A well Differenciated follicular carcinoma of thyroid can be best Differentiated from a Follicular Adenoma by
1. Hurthle cell change
2. Lining of tall columnar and cuboidal cells
3. Vascular invasion
4. Nuclear features

Correct answer: 3. Vascular invasion

Explanation: FNAC is is of limited value in the preoperative diagnosis of follicular thyroid cancer. Diagnosis of follicular thyroid cancer requires demonstration of cellular invasion of the capsule or vascular or lymphatic channels. Source : Sabiston 20th edition Pg : 905